Most common lesion in fetal toxoplasmosis is -
1. GI involvement
2. Chorioretinitis
3. Pulmonary involvement
4. Encephalitis

Correct answer: 2. Chorioretinitis